An addict presents with increased sweating, lacrimation, diarrhea, yawning and rhinorrhea. These symptoms may occur due to withdrawal of:
1. Heroin
2. Cocaine
3. Cannabis
4. Alcohol

Correct answer: 1. Heroin

Explanation: Ref:Kaplan and Sadocks synapsis of psychiatry/448 *Opioid withdrawal presents with dysphoric mood, nausea, vomiting, muscle aches, lacrimation, sweating and yawning.it is also called "Cold Turkey". *Cocaine withdrawal presents with dysphoric mood, fatigue, vivid and unpleasant dreams, insomnia or hypersomnia psychomotor agitation or retardation. *Cannabis is not associated with withdrawal syndrome. *Alcohol withdrawal presents with sweating,pulse rate >100, hand tremors, insomnia, transient visual/tactile/auditory hallucination, it can progress to grand mal seizures and delirium tremens.